Brain death is said to occur if there is
1. Absent spinal reflexes
2. Cortical death following widespread brain injury
3. Absence of brainstem reflexes
4. Core temperature of the body is below 35degC

Correct answer: 3. Absence of brainstem reflexes

Explanation: (C) Absence of brainstem reflexes # BRAIN DEATH is present when there is irreversible loss of all brain function, both brain-stem function & cortical (hemisphere) function.> Brain death criteria - Loss of brainstem function & Absent cranial nerve reflexes - Pupillary light reflex; Corneal reflex; Oculoves-tibular reflex (cold caloric test; No gag reflex).> Absent respiratory brainstem reflexes is done by Apnea test: Loss of cortical function (No spontaneous movement; no response to external stimuli); Irreversibility.> Brain death is present when there is irreversible loss of brain function (criteria-loss of brainstem function) absent cranial nerve reflexes, pupillary light reflex, corneal reflex, oculovestibular reflex.